Thoracic duct terminates into the left brachiocephalic vein at the junction of ?
1. External jugular vein and subclavian vein
2. Internal jugular vein and subclavian vein
3. External jugular vein and brachiocephalic vein
4. Internal jugular vein and brachiocephalic vein

Correct answer: 2. Internal jugular vein and subclavian vein

Explanation: Thoracic duct starts as an upward continuation of cistern chyle which is situated in front of bodies of L1 and L2 vertebrae. It ends in the left brachiocephalic vein, at the junction of left internal jugular vein and left subclavian vein. Thoracic duct is the largest and elongated common lymphatic channel which conveys lymph from whole part of the body into the bloodstream, except:Right side of head and neckRight side of faceRight superior extremityRight side of chest wallRight lung and pleuraRight half of heart and pericardiumRight dome of diaphragmRight surface of liver